Which of the following statement is not true about the Schatzki's ring?
1. Located at the lower esophagus
2. It may result from GERD or be congenital in origin
3. Causes dysphagia for both liquids and solids
4. Asymptomatic rings and webs may be present in 10% of normal individuals

Correct answer: 3. Causes dysphagia for both liquids and solids

Explanation: A lower esophageal mucosal ring (Schatzki ring) is a thin, web like constriction located at the squamocolumnar mucosal junction at or near the border of the LES. It may result from GERD or to be congenital in origin. It invariably produce dysphagia when the lumen diameter is < 1.3 cm. Dysphagia to solid is the only symptom, and is usually episodic. A lower esophageal ring is one of the common cause of dysphagia. Asymptomatic rings may be present in 10% normal individual. Symptomatic rings and webs are treated by dilation. Ref: L & B 25/e, page 1041 ; CSDT 11/e, page 500